Dorsiflexiors of ankle joint
1. Tibialis anterior
2. Peroneus longus
3. Tibialis posterior
4. Soleus

Correct answer: 1. Tibialis anterior

Explanation: DORSIFLEXION FOOT:- The forefoot is raised,and the angle between the front of the leg and the dorsum of the foot is diminished. The wider anterior trochlear surface of the talus fits into the lower end of narrow posterior part of the lower end of tibia. No chance of dislocation in dorsiflexion. PLANTAR FLEXION OF FOOT:- Forefoot is depressed and the angle between leg and foot is increased. The narrow posterior part of trochlear surface of talus loosely fits into the wider anterior part of lower end of tibia. High heels causes plantar flexion of ankle joint and its dislocation. MUSCLES INVOLVED;- Main Accessory Dorsiflexion Tibialis anterior EDL ,EHL Peroneustertius Plantar flexion Gastrocnemius Soleus FHL FDL plantaris Tibialis posterior {Reference: BDC 6E pg no.150}